Among the following, examples of non-ionising radiation
1. UV
2. X-rays
3. Gamma rays
4. Cosmic rays

Correct answer: 1. UV